Pain relief in chronic pancreatitis can be obtained by destruction of -
1. Celiac ganglia
2. Vagus nerve
3. Anterolateral column of spinal cord
4. None of the above

Correct answer: 1. Celiac ganglia

Explanation: Pain from the pancreas is carried in sympathetic fibers that traverse the celiac ganglia, reach the sympathetic chain through the splanchnic nerves, and then ascend to the cortex.
Celiac plexus nerve blocks performed either percutaneously or endoscopically have been employed to abolish this pain with inconsistent results.